Diamond blackfan anemia is another name of
1. Inherited thrombocytopenia
2. Inherited leucopenia
3. Inherited erythroid aplasia
4. All

Correct answer: 3. Inherited erythroid aplasia